Mifepristone (RU–486) is:
1. Anti–androgen
2. Anti–estrogen
3. Anti–progestin
4. Androgen

Correct answer: 3. Anti–progestin